Scrub typhus is transmitted by:
1. Flea
2. Mite
3. Tick
4. Louse

Correct answer: 2. Mite

Explanation: Ans. B: Mite Vector for Scrub typhus is trombiculid mite Scrub typhus/Bush typhus It is a form of typhus caused by Orientia tsutsugamushi first isolated and identified in 1930 in Japan Scrub typhus is transmitted by some species of trombiculid mites ("chiggers", particularly Leptotrombidium deliense), which are found in areas of heavy scrub vegetation. The bite of this mite leaves a characteristic black eschar that is useful for making the diagnosis. Scrub typhus is endemic to a part of the world known as the "tsutsugamushi triangle" (after the name "Orientia tsutsugamushi" (formerly "Rickettsia tsutsugamushi"), the obligate intracellular gram-negative bacterium causing same), which extends from northern Japan and far-eastern Russia in the north, to the territories around the Solomon Sea into northern Australia in the south, and to Pakistan and Afghanistan in the west. It affects females more than males in Korea, but not in Japan, and this is conjectured to be because sex-differentiated chltural roles have women tending garden plots more often, thus being exposed to plant tissues inhabited by chiggers